In which of the following parasitic infection, urine sample examination can be of diagnostic help?
1. Schistosomia hematobium
2. Schistosomia japonicum
3. Strongyloides
4. Enterobius

Correct answer: 1. Schistosomia hematobium

Explanation: Ans. a (Schistosomia hematobium). (Ref. Harrison's Principle of Medicine 16the d., 1266) S. hematobiumS. mansoniS. japonicumEggTerminal spineLateral spineLateral knobsHabitatVesical and prostatic venous plexusMesenteric plexus of sigmoidorectal areaMesenteric plexus of ileocaecal areaDiagnosisExamination of urine Fairely's testExamination of fecesRectal biopsySameTreatmentTrivalent antimonyTrivalent antimonyTrivalent antimony